All of the following conditions are observed in Gout except
1. Uric acid nephrolithiasis
2. Deficiency of enzyme Xanthine oxidase
3. Increase is serum urate concentration
4. Renal disease involving interstitial tissues

Correct answer: 2. Deficiency of enzyme Xanthine oxidase

Explanation: About one-third of the body uric acid pool is derived from dietary sources and two-thirds from endogenous purine metabolism . The concentration of uric acid in body fluids depends onthe balance between endogenous synthesis, and elimination by the kidneys (two-thirds) and gut (one-third). Purine nucleotide synthesis and degradation are regulated by a network of enzyme pathways, but xanthine oxidase plays a pivotal role in catalysing the conversion of hypoxanthine to xanthine and xanthine to uric acid. Xanthine oxidase inhibitors are used in treatment of chronic gout . So , Deficiency of this enzyme does not lead to gout . Allopurinol is the drug of first choice. It inhibits xanthine oxidase,which reduces the conversion of hypoxanthine and xanthine to uric acid. Ref Davidsons 23e p1013,1015